A30-years-old primipara in labor with transverse lie. Treatment of choice is:
1. Internal cephalic version
2. Emergency cesarean section
3. Wait and watch
4. External cephalic version

Correct answer: 2. Emergency cesarean section

Explanation: Ans. is b, i.e. Emergency cesarean sectionRef Dutta Obs. 9/e, p 372; Williams Obs. 22/e, p 510, 23/e, p 478Patients in labor with transverse lie can be managed by external cephalic version followed by surgical rupture of the membrane.But it is important to note that the patient is a primigravida with age 30 years, i.e. elderly primi, so ECV is contraindicated.This patient requires an emergency cesarean section.